Auerbachs plexus is present in the
1. Colon
2. Esophagus
3. Stomach
4. All of the above

Correct answer: 4. All of the above

Explanation: Nerve Plexuses - The gut is richly supplied with nerves. A number of nerve plexuses are present as follows: The myenteric plexus (of Auerbach) lies between the circular and longitudinal coats of muscularis externa. The submucosal plexus (of Meissner) lies in the submucosa (near its junction with the circular muscle layer). A third plexus is present near the muscularis mucosae. The nerve fibres in these plexuses are both afferent and efferent. The efferent fibres supply smooth muscle and glands. Postganglionic neurons meant for these structures lie amongst the nerve fibres forming these plexuses. REF : Inderbir Singh's Textbook of Human Histology, SEVENTH EDITION, PG.NO., 263.